finger print bureau was first established in:
1. England
2. China
3. India
4. Singapore

Correct answer: 3. India

Explanation: Fingerprint: is an impression of the friction ridges of all part of the finger World's first fingerprint bureau: opened in Calcutta (Kolkata), India in 1897 after the council of the governor approved a committee report that fingerprints should be used for classification of criminal records Sir Williams James Herschel initiated fingerprints in India Dermatoglyphics: is the scientific study of human fingerprints